Arrange the following developmental milestones in order of appearance (age wise) (first to last) a. Immature pincer grasp b. Rolls over c. Laugh loud d. 1-2 words with meaning
1. c- b, a- d
2. d- b, a- c
3. a- b, c- d
4. c- d, a- b

Correct answer: 1. c- b, a- d

Explanation: Option c - laugh out loud - 4 months Option b - rolls over - 5 months Option a - immature pincer grasp - 9 months Option d - 1-2 words with meaning - 12 month Table:- key groups motor development milestones Age Milestone 3 months Neck holding 5 months Rolls over 6 months Sits in tripod fashion (sitting with own support) 8 months Sitting without support 9 months Stands holding on (with support) 12 months Creeps well; walks but falls; stands without support 15 months Walks alone; creeps upstairs 18 months Runs; explores drawers 2 year Walks up and downstairs (2 feet/step); jumps 3 years Rides tricyclic; alternate feet going upstairs 4 years Hops on one foot; alternate feet going downstairs Table:- Key fine motor milestones Age Milestone 4 months Bidextrous reach (reaching out for objects with both hands) 6 months Unidextrous reach (reaching out for objects with one hand); transfers objects 9 months Immature pincer grasp; p[robes with forefinger 12 months Pincer grasp mature 15 months Imitates scribbling; tower of 2 blocks 18 months Scribbles; tower of 3 blocks 2 years Tower of 6 blocks; vertical and circular stroke 3 years Tower of 9 blocks; copies circle 4 years Copies cross; bridge with blocks 5 years Copies triangle: gate with blocks Table: Key social and adaptive milestones Age Milestones 2 months Social smile (smile after being talked to) 3 months Recognizes mother; anticipates feeds 6 months Recognizes strangers, stranger anxiety 9 months Waves "bye bye" 12 months Comes when called; plays simple ball game 15 months Jargon 18 months Copies parents in task (e.g. sweeping) 2 years Asks for food, drink, toilet; pulls people to show toys 3 years Shares toys; knows full name and gender 4 years Plays cooperatively in a group; goes to toilet alone 5 years Helps in household tasks, dresses and undresses Table: key language milestones Age Milestone 1 month Alerts to sound 3 months Coos(musical vowel sounds) 4 months Laugh loud 6 months Monosyllables (ba, da, part), ah-goo sounds 9 months Bisyllables (mama, baba, dada) 12 months 1-2 words with meaning 18 months 8-10 word vocabulary 2 years 2-3 word sentence, uses pronouns "I", "me", "you" 3 years Asks questions; knows full name and gender 4 years Says song or poem; tells stories 5 years Asks meaning of words